Mc bone to get fractured in fall on outstretched hand is:
1. Lower End Ulna
2. Lower End Radius (Colles fracture)
3. 5th Metacarpal
4. Capitate

Correct answer: 2. Lower End Radius (Colles fracture)

Explanation: (b) Lower End Radius (Colles fracture)"FOOSH" (Fracture due to fall on outstretched hand)- Fracture clavicle- Surgical neck of humerus fracture- Supracondylar fracture humerus and lateral condyle fracture humerus- Head and neck fracture of radius- Galeazzi fracture dislocation- Colie's fracture (Most common)- Radial styloid fracture- Fracture scaphoid